During investigation of hydronephrosis, isotope renogram is useful mainly in -
1. Detecting vesicoureteric reflux
2. Anatomical definition
3. Distinguishing between non-obstructed system
4. Identifying ectopic kidney tissue

Correct answer: 3. Distinguishing between non-obstructed system